False about the O2 dissociation curve
1. Sigmoid curve
2. Combination of the first heme in the Hb molecule with O2 increases the affinity of the second heme for O2
3. Increase in ph shifts curve to right
4. Fall in temperature shift curve to left

Correct answer: 3. Increase in ph shifts curve to right

Explanation: The oxygen-hemoglobin dissociation curve, also called the oxyhemoglobin dissociation curve or oxygen dissociation curve (ODC), is a curve that plots the proportion of hemoglobin in its saturated (oxygen-laden) form on the vertical axis against the prevailing oxygen tension on the horizontal axis. This curve is an important tool for understanding how our blood carries and releases oxygen. Specifically, the oxyhemoglobin dissociation curve relates oxygen saturation (SO2) and partial pressure of oxygen in the blood (PO2), and is determined by what is called "hemoglobin affinity for oxygen"; that is, how readily hemoglobin acquires and releases oxygen molecules into the fluid that surrounds it. Ref: guyton and hall textbook of medical physiology 12 edition page number:353,354,355